Characteristic feature of SLE is:
1. Uveitis
2. Joint deformity
3. Polyserositis
4. Cavitating lesion in lung

Correct answer: 3. Polyserositis

Explanation: Answer is C (Polyserositis): Polyserositis is included as a diagnostic criteria for SLE and is the most characteristic feature of SLE amongst the options provided. Uveitis is not a characteristic feature of SLE Ocular manifestation include sicca syndrome, non specific conjunctivitis, episcleritis, retinal vasculitis and optic neuritis. Uveitis is not mentioned as an ocular manifestation of SLE. Ocular manifestations are not characteristic of SLE and are not included in the diagnostic criteria for SLE. Joint Deformity is not a characteristic feature of SLE Arthritis is included amongst the diagnostic criteria for SLE, however arthritis in SLE is typically nor erosive and does not lead to joint deformities. Cavitatory Lesion in lungs are not characteristic of SLE Cavitatory Lesion in lungs are not characteristic of SLE The most common pulmonary manifestation of SLE is pleuritis with or without pleural effusion. Other Pulmonary manifestations include Interstitial fibrosis, intraalveolar hemorrhage and shrinking lung syndrome. Diagnostic Criteria for Systemic Lupus Erythematous Malar rash Fixed erythema, flat or raised, over the malar eminences Discoid rash Erythematous circular raised patches with adherent keratitic scalling and follicular plugging; atrophic scarring may occur Photosensitivity Exposure to ultraviolet light causes rash Oral ulcers Includes oral and nasopharyngeal ulcers, observed by physician Arthritis Nonerosive arthritis of two or more peripheral joints, with tenderness, swelling, or effusion Serositis Pleuritis or pericarditis documented by ECG or rub or evidence of effusion Renal disorder Proteinuria >0.5g/d or >3+, or cellular casts Neurologic disorder Seizures or psychosis without other causes Hematologic disorder Hemolytic anemia or leucopenia (<4000/4) or lymphonia (<1500/4) or thrombocytopenia (< 100,000111AL) in the absence of offending drugs Immunologic disorder Anti-ds DNA, anti-Sm, and /or anti-phospholipid Antinuclear antibodies An abnormal titer of ANA by immunofluorescence or an equivalent assay at any point in time in the absence of drugs known to induce ANAs